All are feature of Wernicke's encephalopathy, Except:
1. Cogwheel rigidity
2. Alteration in mental function
3. Ophthalmoplegia
4. Ataxia

Correct answer: 1. Cogwheel rigidity

Explanation: Answer is A (Cogwheel rigidity): Wernicke's disease is seen in AlcoholicQ patients with chronic thiamine deficiencyQ. The characteristic clinical triad is that of : Global confusion Ophthalmoplegia Ataxia